The regimens of Mg So4 for the management of severe preclampsia and eclampsia is known as
1. Menon regime
2. Pritchard regime
3. Lean regime
4. Pinard's regime

Correct answer: 2. Pritchard regime

Explanation: (Pritchard regime) (236-D)* Magnesium sulphate is the drug of choice in preeclampsia and eclampsia, Pritchard and Zuspan or Sibai regime are used* Lvtic cocktail regime (Menon 1961) using chloropromazine, phenergan and pethidine (CPP)* Diazepam therapy (Lean)* Pinard's maneuver - frank breech extraction